Nodes of Rouvier is
1. Retropharyngeal node
2. Parapharyngeal node
3. Adenoids
4. None

Correct answer: 1. Retropharyngeal node

Explanation: Retropharyngeal nodes:-They lie behind the pharynx and are divided into lateral and medial groups. The lateral group lies at the level of the atlas, close to the base of the skull. The most superior node of the lateral group is called node of Rouviere. The medial group lies near the midline but at a little lower level. Retropharyngeal nodes drain the nasal cavity, paranasal sinuses, hard and soft palate, nasopharynx, posterior wall of the pharynx and send efferents to the upper internal jugular group. (Ref: Diseases of ear, nose and throat, P.L Dhingra, 7th edition, page no. 440)